Which of the following is not true regarding Pathogenesis of a disease?
1. Screening is of no use in changing course of disease.
2. Tertiary prevention is possible.
3. Entry of organism occurs.
4. Includes subclinical cases.

Correct answer: 1. Screening is of no use in changing course of disease.

Explanation: - Pathogenesis phase of disease: Begins with entry of the disease 'agent' in the susceptible host. Multiplication of organism, disease initiation and progression is seen. Final outcome may be recovery, disability or death. Secondary and tertiary levels of prevention are possible here. Screening of disease may improve prognosis and increase survival. (Hence, option-1 is wrong)